All of the following are true about Medulloblastoma except
1. It arises from medulla
2. It is small round blue Cell tumour
3. It is an embryonal tumour
4. Chang staging system is used

Correct answer: 1. It arises from medulla

Explanation: Medulloblastoma occurs in Cerebellum and not in Medulla.